A relatively newer agent 'latanoprost' is now being used. Which of the following statements is true regarding this agent?
1. It is PGF2a derivative used in glaucoma
2. It is selective a1 blocker used in benign hypertrophy of prostate
3. It is a 5a reductase inhibitor used to reduce the size of enlarged prostate gland
4. It is a PGE2 analogue used intravaginally for cervical priming

Correct answer: 1. It is PGF2a derivative used in glaucoma

Explanation: -Latanoprost is PGF2 alpha derivative. -It is drug of choice for primary open angle glaucoma. -Heterochromia iridis and hypertrichosis are major ocular adverse effects of latanoprost.